Tinnels sign indicates:
1. Atrophy of nerves
2. Neuroma
3. Injury to nerve
4. Regeneration of nerves

Correct answer: 4. Regeneration of nerves

Explanation: Ans: d (Regeneration of nerves)Ref: Schwartz surgery, 7th ed, p. 1885